Patient with HNPCC (hereditary nonpolyposis colon cancer) has genes with microsatellite instability. This is due to failure of which repair mechanism of DNA
1. Mismatch repair
2. Base excision repair
3. Homologous end joining repair
4. Non homologous end joining repair

Correct answer: 1. Mismatch repair

Explanation: Mismatch repair: It is one of the repair mechanisms in DNA replication. It operates when there is mismatched base paining. For eg: when A pairs with C. This repair mechanism is defective in HNPCC.